One of the following mutation is potentially lethal -
1. Substitution of adenine for cytosine
2. Substitution of methylcytosine for cytosine
3. Substitution of guanine for cytocine
4. Insertion of one base

Correct answer: 4. Insertion of one base

Explanation: D i.e. Insertion of one base